Post-splenectomy patient is in need of ______’ vaccination -
1. Pneumococcal
2. Rota virus
3. BOG
4. MMR

Correct answer: 1. Pneumococcal

Explanation: The patient is particularly susceptible to fulminant pneumococcal infection after splenectomy.

Splenectomy and pneumococcal infection

 After splenectomy pneumococcal infection can cause fulminant disease like pneumococcal meningitis.
 The absence of spleen predisposes pneumococcal infection due to -

1. Relative or absolute deficiency of opsonic antibody activity or an inability to induce a sufficient type-specific antibody response.
2. Normally slow passage of blood through the splenic sinuses and prolonged contact with R.E.cells in the cord of Billroth allows time for bacterial clearance.
After splenectomy, this defence does not work.
3. Tuftsin, a naturally occurring tetrapeptide secreted by the spleen, plays a role in combating pneumococcal sepsis.